BP is measured in ?
1. Axillary artery
2. Carotid artery
3. Brachial artery
4. Radial artery

Correct answer: 3. Brachial artery

Explanation: Ans. is 'c' i.e., Brachial arteryThe standard location for noninvasive blood pressure measurement is the brachial artery, although there are several other sites where it can be done.